All are true regarding Anaemia of Chronic Diseases, except
1. Decreased serum Fe
2. Decreased Ferritin
3. Decreased Total Fe Binding Capacity
4. Increased Bone Marrow Fe

Correct answer: 2. Decreased Ferritin

Explanation: Serum ferritin levels are increased in anaemia of chronic disorder & is the most distinguishing feature between true iron deficiency anaemia & iron-deficient erythropoiesis in anaemia of disease. 
A defect in the transfer of iron from macrophages to the developing erythroid cells in the marrow leads to reduced availability of iron for haem synthesis despite adequate iron stores, elevating serum.